Non caseating granuloma is characteristically seen in
1. Syphilis
2. Sarcoidosis
3. TB
4. Histoplasmosis

Correct answer: 2. Sarcoidosis

Explanation: ref Robbins 8/e p701 ,9/e p98 NONCASEATING GRANULOMA Sarcoidosis is characterized bynoncaseating granulomas. These are different than the caseating granulomasproduced by other diseases, especially tuberculosis. Caseous necrosis is destruction of cells which are converted to amorphous greyish debris located centrally ingranulomas.